All of the following are ultrasonographic fetal growth parameters except :
1. Biparietal diameter
2. Head circumference
3. Transcerebeller diameter
4. Femur length

Correct answer: 3. Transcerebeller diameter

Explanation: Ans. is c i.e. Transcerebellar diameter Ultrasonographic 'fetal measurements' commonly used are : -- Crown Rump length Biparietal diameter -- Head circumference Abdominal circumference -- Femur length. All the parameters given above are : Primary biometric parameters. Transcerebeller diameter is a Secondary biometric parameter. Other secondary biometric parameters are : -- Binocular distance -- Cerebellar distance Clavicle length -- Radius length Ulnar length -- Tibia length Foot length. Best parameter for dating of pregnancy - Measurement of CRL in 1st trimester. Most sensitive parameter for assessment of fetal growth is abdominal circumference. Best age for assessment of gestation age in second trimester 14-20 weeks. Prediction of fetal gestational age using ultrasound biometric parameters